Immunosuppressant drug inhibiting the action oh IL-3 without inhibiting it's transaction is
1. Prednisolone
2. Cyclosporine
3. Tacrolimus
4. Sirolimus

Correct answer: 4. Sirolimus

Explanation: Ref-Katzung 10/e p918 Sirolimus, also known as rapamycin, is a macrolide compound that is used to coat coronary stents, prevent organ transplant rejection and to treat a rare lung disease called lymphangioleiomyomatosis. It has immunosuppressant functions in humans and is especially useful in preventing the rejection of kidney transplants.